Stage IV of ANUG according to Hornig and Cohen is characterized by
1. Necrosis of the tip of interdental papilla
2. Necrosis extending to the attached gingiva
3. Necrosis exposing alveolar bone
4. Necrosis perforating skin of cheek

Correct answer: 2. Necrosis extending to the attached gingiva